Substance obtained from lipoxygenase pathway and shows chemotaxis to neutrophils is
1. LT B4
2. LX A4
3. Prostacyclin
4. Thromboxane A2

Correct answer: 1. LT B4

Explanation: Leukotrienes B4 obtained during LOX pathway shows chemotaxis and leukocyte adhesion.
Arachidonic Acid Metabolites and their actions in Inflammation:-